Vocal cord palsy in thyroid surgery is due to injury to?
1. Superficial laryngeal nerve
2. Recurrent laryngeal nerve
3. Ansa cervicalis
4. Vagus nerve

Correct answer: 2. Recurrent laryngeal nerve

Explanation: Ans. is 'b' i.e., Recurrent laryngeal nerve